cAMP test is used for diagnosis of?
1. Streptococcus A
2. Streptococcus B
3. Streptococcus D
4. Streptococcus G

Correct answer: 2. Streptococcus B

Explanation: ANSWER: (B) Streptococcus BREF: Jawetz Microbiology, 24th Ed, Ch. 15CHARACTERISTICS OF MEDICALLY IMPORTANT STREPTOCOCCINameGroup-SpedficSubstanceHemolysisHabitatImportantLaboratoryCriteriaCommon andImportantDiseasesStreptococcuspyogenesABetaThroat,skinLarge colonies (> 0.5 mm), PYR test positi%re, inhibited by bacitracinPharyngitis,impetigo,rheumatic fever, glomerulonephritisStreptococcusagalactiaeBBetaFemalegenitaltractHippurate hydrolysis, CAMP- positiveNeonatal sepsis and meningitisStreptococcus dysgalactiae subspecies equisimiiis; othersC, GBeta (human infections), alpha, noneThroatLarge (> 0.5 mm) coloniesPharyngitis,pyogenic infections similar to group A streptococdEnterococcus faecalis (and other enterococci)DNone, alphaColonGrowth in presence of bile, hydrolyze esculin, growth in 6.5% NaCl, PYR- positiveAbdominalabscess, urinarytract infection, endocarditisStreptococcus bovis (non-enterococcus)DNoneColonGrowth in presence of bile, hydrolyzeescuiin, no growth in 6.5% NaCl, degrades starchEndocarditis, common blood isolate in colon cancerStreptococcus anginosus group(S anginosus,S intermedius,S constellatus,S milleri group)F (A, C,G) and untypableAlpha, beta, noneThroat,colon,femalegenitaltractSmall (< 0.5 mm) colony variants of beta-hemolytic species. Group A are bacitradn- resistant and PYR-negative. Carbohydrate fermentation patternsPyogenic infections, induding brain abscessesViridansstreptococci (many species)Usuallynottyped or untypableAlpha,noneMouth, throat, colon, female genital tractOptochin-resistant.Colonies not soluble in bile. Carbohydrate fermentation patternsDental caries(S mutans), endocarditis,abscesses (wit many otherbacterial spedes)StreptococcuspneumoniaeNoneAlphaThroatSusceptible to optochin. Colonies soluble in bile, queliung reaction-positivePneumonia,meningitis,endocarditisPeptostreptococcus (many species}NoneNone, alphaMouth,colon,femalegenitaltractObligateanaerobesAbscesses (with multiple other bacterial species)